The least favourable form of attempted repair of the root fracture is
1. Healing with calcified tissue
2. Healing with interposition of connective tissue
3. Interposition of bone and connective tissue
4. Interposition of granulation tissue

Correct answer: 4. Interposition of granulation tissue